Which of the following represents the serologic evidence of recent Hepatitis B virus infection during "window" period?
1. HBs Ag
2. IgM anti — HBc
3. Anti HBs
4. None of the above

Correct answer: 2. IgM anti — HBc